Finkelstein test used for -
1. Carpal tunnel syndrome
2. Cubital tunnel syndrome
3. De quervains tenovaginitis
4. Median nerve injury

Correct answer: 3. De quervains tenovaginitis

Explanation: Ans. is 'c' i.e., De quervainstenovaginitis Signs and Testso Adson's test: for thoracic outlet syndromeo Allen's test : for testing patency of radial and ulnar arterieso Aili's test: for CDHo Anvil test : for testing tenderness of the spineo Ape thumb : for median nerve injury'o Apley's grinding test :for meniscus injuryo Apprehension test: for recurrent dislocation of the shouldero Barlow's test: for CDHo Blue sclera : Osteogenesis imperfecta]o Bryant's test: for anterior dislocation of the shouldero Call way s' test: for anterior dislocation of the shouldero Chovstek's sign : for tetanyo Claw hand : for ulnar nerve injuryo Coin test: for dorso lumbar tuberculosis of spineo Cozen's test: for tennis elbowo Drawer test: for ACL and PCL injutriesAnterior : for ACL injuryPosterior : for ACL injuryo Finkelstein's test: for de Quervain's tenovaginitiso Foot drop : for common peroneal nerve injuryo Froment's sign : for ulnar nerve injuryo Gaenslen's test: for SI joint involvemento Gaileazzi sign : for CDHo Gower's sign : for musular dystrophyo Hamilton ruler test: for anterior dislocation of the shouldero KanaveFs sign : for infection in ulnar bursao Lasegue's test: for disc prolapseo Lachmann test: for ACL injury'o Lud luffs sign: for avulsion of lesser trochantero Me Murray's test : for meniscus injury'o Nagffziger test: for disc prolapseo Ober's test : for tight ilio- tibia! band (e.g., in polio)o O' Donoghue triad: traid of MCL, ACL & medial meniscus injuries occurring togethero Ortoiani's test: for CDHo Pivot shift test: for ACL injuryo Policeman tip : for Erb's palsyo Runner's knee : Patellar tendinitiso Sulcus sign: for inferior dislocation of the shouldero Thomas' test: for hip flexion deformityo Trendelenburg's test: for unstable hip due to any reaseon (e.g., CDH)o Tin el's sign: for detecting improving nerve injury'o Volkmann's sign : for ischaemic contracture of forearm muscleso Wrist drop : for radial nerve injury'